Currarino triad includes:
1. Pre-sacral meningocele + Sacral defect + Tethered cord
2. Ectopia vesicae + Anorectal malformation + Sacrococcygeal osseous defect
3. Anorectal malformations + Sacrococcygeal osseous defect + Presacral mass
4. Tethered cord + Anorectal malformations + Ectopia vesicae

Correct answer: 3. Anorectal malformations + Sacrococcygeal osseous defect + Presacral mass

Explanation: Currarino triadorASP triad: - Anorectal malformation or congenital anorectal stenosis - Sacrococcygeal osseous defect (always present) - Classically, hemisacrum with intact first sacral vertebra ("sickle-shaped sacrum") - Mild (hypoplasia) to severe (agenesis) of sacrum and coccyx - Presacral mass (various types) - Anterior sacral meningocele - Tumor, e.g. mature teratoma - Dermoid/epidermoid cyst